Most effective agent to prevent motion sickness is?
1. Ephedrine
2. Nedocromil
3. Cyproheptidine
4. Hyoscine

Correct answer: 4. Hyoscine

Explanation: Ans. is `d' i.e., Hyoscine Motion sickness is more easily prevented than cured. Transdermal hyoscine (scopolamine) is the best agent for the prevention of /notion sickness. Antihistamines can also be used for prevention.